Lung volume reduction operations have been developed as a method of managing patients with
1. Asbestosis
2. Emphysema
3. Bronchiectasis
4. Amyloidosis

Correct answer: 2. Emphysema

Explanation: In a patient with diffuse severe emphysema, resection or part of the damaged lung may allow the patient's residual lung to function more efficiently. This technique may serve either as an alternative to lung transplantation or as a bridge until an appropriate donor organ is available. ref - Harrisons internal medicine 20e pg 1997